Ductus venosus connects
1. Pulmonary trunk and IVC
2. Right atrium and left atrum
3. Left umbilical vein and IVC
4. Pulmonary trunk and ascending aorta

Correct answer: 3. Left umbilical vein and IVC

Explanation: Ductus venosus shunts a portion of the left umbilical vein blood flows directly to the inferior vena cava. Thus, it allows oxygenated blood from the placenta to bypass the liver. BD CHAURASIA'S HUMAN ANATOMY.VOLUME 1. 6T H EDITION.PAGE NO 268